Vortex veins invasion is commonly seen in:
1. Retinoblastoma
2. Malignant melanoma of the choroid
3. Optic nerve glioma
4. Medulla epitheloima

Correct answer: 2. Malignant melanoma of the choroid

Explanation: Ans. B i.e. Malignant melanoma of the choroid